Least common site involvement in psoriasis is –
1. Scalp
2. Nail involvement
3. CNS involvement
4. Arthritis

Correct answer: 3. CNS involvement

Explanation: Not found in psoriasis

Alopecia (despite the involvement of scalp)
Face involvement (though scalp lesion can extend on forehead
Mucosal involvement

Uncommon in psoriasis

Joint involvement (5-10%)
Pruritis